Not seen in oculomotor palsy:
1. Proptosis
2. Eye deviated upward and medially
3. Mydriasis
4. Ptosis

Correct answer: 2. Eye deviated upward and medially

Explanation: In complete paralysis of the oculomotor nerve there is ptosis which prevents diplopia. If the eyelid is raised with the finger the eyeball is seen to be deflected outward and rotated internally Q due to tone of 2 UN paralyzed muscles. Pupil is semi dilated (mydriasis) and immobile and accommodation is paralyzed. Q There is slight degree of proptosis due to loss of tone of paralyzed muscle. When lid is raised crossed diplopia occurs.